Treatment of choice for angiofibroma:
1. Surgery
2. Radiotherapy
3. Both
4. Chemotherapy

Correct answer: 1. Surgery

Explanation: (a) Surgery (best option)(Ref. Cummings, 6th ed., 1422)Radiotherapy is indicated in angiofibroma only when the tumour has intracranial extension.